Platelet-activating factor is biochemically a
1. Prostaglandin
2. Glycolipid
3. Glycerol ether phospholipid
4. Leukotrienes

Correct answer: 3. Glycerol ether phospholipid

Explanation: Platelet-activating factor (PAF) (I-alkyl-2-acetyl-sn-glycerol-3- phosphocholine) is synthesized from the corresponding 3-phosphocholine derivatives. It is formed by many blood cells and other tissues and aggregates platelets at concentrations as low as 10 mol/L.